Which among the following is the Glucocorticoid synthesis inhibitor? (Repeat)
1. Mifepristone
2. Ketoconazole
3. Letrozole
4. Anastrozole

Correct answer: 2. Ketoconazole

Explanation: Ketoconazole, Mitotane, and Trilostane inhibit the synthesis of glucocorticoids.Ref: Goodman Gillman 12th ed. Pg: 1184